A 6-year-old girl presents with a large abdominal mass just superior to the pubic symphysis. The mass is tender when palpated and fixed in location. During surgery, a fluid-filled mass is noted connected to the umbilicus superiorly and to the urinary bladder inferiorly. What is the diagnosis?
1. Pelvic kidney
2. Horseshoe kidney
3. Polycystic disease of the kidney
4. Urachal cyst

Correct answer: 4. Urachal cyst

Explanation: A urachal cyst or sinus forms from a remnant of the allantois and is found along the midline on a path from the umbilicus to the apex of the urinary bladder. The epithelium lining the cyst produces secretions that gradually fill the remnant with fluid. Very rarely, the entire allantois persists, forming a fistula that is patent from the urinary bladder to the exterior at the umbilicus.